Acyclovir is indicated in :
1. Candida
2. Herpes simplex
3. Mycoplasma
4. Pneumocystis

Correct answer: 2. Herpes simplex